An infant with neonatal meningitis has a, positive CAMP test, the causative agent is -
1. Staphylococci
2. E. Coli
3. Strept. agalactiae
4. Hemophilus

Correct answer: 3. Strept. agalactiae

Explanation: Ans. is 'c' i.e., Strept. agalactiae